Microarray is -
1. Study of multiple genes
2. Study of disease
3. Study of organisms
4. Study of blood group

Correct answer: 1. Study of multiple genes

Explanation: Ans. is 'a' i.e.. Study of multiple genes o Microarray is a hybridization of a nucleic acid sample to a very large set of oligonucleotide probes, which are attached to a solid support, to determine sequence or to detect variations in a gene sequence or expression or for gene mapping.o It has two major applications: gene expression analysis'and genetic variation analysis.